Calcium channel blocker which is usually used in subarachnoid hemorrhage is:
1. Nimodipine
2. Diltiazem
3. Verapamil
4. Flunarizine

Correct answer: 1. Nimodipine

Explanation: Ans: A (Nimodipine) Ref: Goodman &Gillman's The Pharmacological Basis of Therapeutics, 20I1 12th Edition, McGrow Hill, Burton LL P 735-736 & Basic & Clinical Pharmacology, 2012, / 2th Ed. Tata McGraw hill, Katzung BG Masters SB. Trevor AJ. P 204.Explanation:Nimodipine is a cerebroselective Calcium Channel Blocker.This drug has found to reduce the morbidity after subarachnoid hemorrhage.It is also approved for patients with neurological deficits due to cerebral vasospasm after the rupture of congenital intracranial aneurysmOther CCBs used in stroke are verapamil and nicardipineNicardipine - intracerebral arterial infusion has found to prevent cerebral vasospasm associated with stroke